A 3 year old child suffers from burn injury with the following body parts involved: face including scalp, both buttocks and circumferentially around both thighs. How much is TBSA involved?
1. 0.25
2. 0.26
3. 0.35
4. 0.45

Correct answer: 3. 0.35

Explanation: Ans is 'c' i.e. 0.35 Using Modified Lund-Browder chart: Area Percentage Face 8.5 Scalp 8.5 Both buttocks 2.5 + 2.5 = 5 Both thighs circumferentially 3.25 x 2 + 3.5 x 2 = 13 Total body surface area 35